Which of the following drugs can result in cyanide poisoning?
1. Sodium Nitroprusside
2. Amyl nitrite
3. Hydroxycobalamin
4. Sodium thiosulphate

Correct answer: 1. Sodium Nitroprusside

Explanation: Rapid high dose infusion of sodium nitroprusside may result in cyanide poisoning. Mechanism of action of Sodium nitroprusside is binding with oxyhemoglobin in the circulation and release nitric oxide, cyanide, methaemoglobin results inincrease of cGMP Amyl nitrite induces methemoglobinemia which binds cyanide to form cyanmethemoglobin and thiosulphate hastens its conversion to less toxic thiocyanate. Amyl nitrite and sodium thiosulphate are present in commercial cyanide antidote kit. Hydroxocobalamin converts cyanide to non-toxic cyanocobalamin. Note Sodium nitroprusside- DOC for Malignant hypertension